Oral contraceptive pills give protection against
1. STDs
2. Breast cancer
3. Ovarian cancer
4. Hepatocellular carcinoma

Correct answer: 3. Ovarian cancer

Explanation: Ref:Park's Text book of Preventive and Social Medicine 25th ed